All of the following drugs can result in amorphous whorl like corneal opacities except:
1. Amiodarone
2. Chloroquine
3. Indomethacin
4. Chlorpromazine

Correct answer: 4. Chlorpromazine

Explanation: Ans. (D) Chlorpromazine (12th/e p1793; Khurana 5th/e p69; Parsons21stth/e p214, Clinical ocular Pharmacology/803)Amorphous whorl like corneal deposit suggests a case of cornea verticillata (or vortex keratopathy). It is seen in Fabry's disease and it may be drug induced.The whorl-like pattern shows the direction of migration of corneal epithelial cellsPhenothiazines like chlorpromazine and thioridazine are mainly associated with pigmentation of endothelium and descment's membrane.Drugs associated with whorl like corneal opacities are:AmiodaroneChloroquineHydroxychloroquineIndomethacinAtovaquoneTamoxifen